Most common cause of hemobilia is:
1. Trauma
2. Hemangioma
3. Rupture of hepatic artery aneurysm
4. Hepatitis

Correct answer: 1. Trauma

Explanation: Hemobilia presents with triad of biliary pain,obstructive jaundice and melena. Causes of hemobilia are: 1. Iatrogenic trauma- after cholecystectomy/ERCP/liver biopsy2. Accidental trauma3. Acalculous cholecystitis4. Hepatocellular Carcinoma>>Cholangiocarcinoma5. Inflammatory conditions ranging from ascariasis to PAN6. Vascular malformation7. Coagulopathy Most common site where bleed originates in Hemobilia is liver> extra-hepatic biliary pathway> gallbladder>pancreas.